In which of the following step of TCA cycle, carbon dioxide is removed?
1. Alpha-ketoglutarate dehydrogenase
2. Malate dehydrogenase
3. Succinate dehydrogenase
4. Fumarase

Correct answer: 1. Alpha-ketoglutarate dehydrogenase

Explanation: Ans: a)Alpha-ketoglutarate dehydrogenase The two oxidative decarboxylation reactions of the TCA cycle are: 1. Isocitrate dehydrogenase 2. a-ketoglutarate dehydrogenase